Which of the following is a mature defence mechanism :
1. Projection
2. Reaction formation
3. Anticipation
4. Denial

Correct answer: 3. Anticipation

Explanation: C i.e. Anticipation